Features of T wave in ECG of hypokalemia patients are all except:
1. Elevated T wave
2. Inverted T wave
3. Flat T wave
4. Bigeminal T wave

Correct answer: 1. Elevated T wave

Explanation: Ans. A: Elevated T wave ECG changes of few important conditions: Hypocalcemia- Prolonged ST and QT intervals Hypercalcemia- shortened ST segment - widened T wave Hypokalemia- ST depression - flat or inverted T wave- Prominent U wave Hyperkalemia- Tall, peaked T waves Flat P waves widened QRS complex - Prolonged PR interval Hypomagnesemia- Tall T waves - Depressed ST segment Hypermagnesemia- Prolonged PR interval - widened QRS complexes